Inhalation agent incompatable with sodaline
1. Isoflurane
2. Trichloro Ethylene
3. Methoxy flurane
4. Enflurane

Correct answer: 2. Trichloro Ethylene

Explanation: B i.e. Trichloro ethylene Sodalime with trilene forms phosgene (neurotoxic) gas.Q So this combination is contraindicated. Sodalime is a mixture of 94% (Ca(OH)2 + 5% NaOH as catalyst + 1% KOHQ; with granule size of 4-8 meshQ. It should not be used with : The drier the sodalime, the more likely it will degrade & absorb volatile anesthetics. It produces compound A with sevofluraneQ (clinically significant) and carbon monoxide with desflurane, isoflurane & enflurane (clinically insignificant). However, desflurae can be broken down to CO by dry barium hydroxide lime to such an extent that it is capable of causing clinically significant CO poisoning.